Rotten egg odour is not characteristic with which substance
1. Disulfiram
2. Hydrogen sulphide
3. N - Acetyl cysteine
4. Nitrobenzene

Correct answer: 4. Nitrobenzene

Explanation: Rotten egg odour can be felt in - Disulfiram, Mercaptans, N acetyl cysteine, Hydrogen sulphide.